Korsakoff's psychosis is due to deficiency of:
1. Vitamin B1
2. Vitamin B2
3. Vitamin B3
4. Vitamin B12

Correct answer: 1. Vitamin B1

Explanation: Ans. A i.e. Vitamin B1